Child presents with linear verrucous plaques on the trunk with vacuolation of keratinocytes in S.Spinosum and S.Granulosum. Diagnosis is?
1. Incontinentia pigmenti
2. Delayed hypersensitivity reaction
3. Verrucous epidermal nevus
4. Linear darier's disease

Correct answer: 3. Verrucous epidermal nevus

Explanation: Verrucous epidermal nevus is also known as linear verrucous epidermal nevus or linear epidermal nevus. They are characterized by localized or diffuse, closely set, skin-colored, brown, or gray-brown verrucous papules, which may coalesce to form well-demarcated papillomatous plaques. Extensive distribution of a verrucous epidermal nevus is termed systemized epidermal nevus. Epidermal nevi may present in conjunction with other epidermal lesions such as cafe-au-lait macules, congenital hypopigmented macules, and congenital nevocellular nevi. Complete excision of an epidermal nevus to the level of the deep dermis is necessary to prevent recurrences. Ref: Thomas V.D., Snavely N.R., Lee K.K., Swanson N.A. (2012). Chapter 118. Benign Epithelial Tumors, Hamartomas, and Hyperplasias. In L.A. Goldsmith, S.I. Katz, B.A. Gilchrest, A.S. Paller, D.J. Leffell, N.A. Dallas (Eds), Fitzpatrick's Dermatology in General Medicine, 8e.